In baby stool followed by taking milk is due to which reflex ?
1. Gastrocolic reflex
2. Rooting flex
3. Swallowing reflex
4. Moro reflex

Correct answer: 1. Gastrocolic reflex

Explanation: Gastrocolic reflex is a physiological reflex controlling the peristalsis of GIT. This reflex is responsible for the urge to defaecate after a meal. A number of neuropeptides like gastrin, cholecystokinin, serotonin, neurotensin are responsible for this. This reflex causes bowei movements immediately after a meal or during a meal especially in breast fed infants and is completely normal in them Ref- Human physiology : From cells to systems, 7th edition.